Pugilistic attitude in fireburns is due to:
1. Coagulation of blood in the vascular channels
2. Splitting of soft parts
3. Tight clothing
4. Coagulation of protein of the muscles

Correct answer: 4. Coagulation of protein of the muscles

Explanation: Ans. D: Coagulation of protein of the muscles The pugilistic attitude is an extremely typical post-mortem body posture that is similar to a boxers position but is involuntary. The condition generally occurs several hours after death and is caused by a coagulation of muscle proteins when the body is exposed to extremely high temperatures. More simply put, it is caused by muscles contracting under intense heat It occurs whether the person was alive or dead at time of burning